Melatonin is secreted by-
1. Hypothalamus
2. Adrenal cortex
3. Pineal gland
4. Melanocytes

Correct answer: 3. Pineal gland

Explanation: Ans. is 'c? i.e.. Pineal gland o The pineal gland is a small cone shaped structure lies in the center of the brain behind the third ventricle. It consists of two types of cells : i) Pinealocytes, and ii) Neuroglial cell. Pinealocytes predominate and produce hormone melatonin (N-acetyl-5-methoxytry famine).